Function of brown fat is: (Repeat)
1. Glycogenosis
2. Gluconeogenesis
3. Glycogenolysis
4. Thermogenesis

Correct answer: 4. Thermogenesis

Explanation: Ans: D (Thermogenesis) Ref: WF Canon g, Excitable Tissue: Nerve. In: Review of Medical Physiology, 21st ed. California: McGraw- Hill Companies 2012. p27Explanation:Brown FatMore abundant in infants hut is present in adults as well (between the scapulas, at the nape of the neck, along the great vessels in the thorax and abdomen, and in other scattered locations in the body).Have an extensive sympathetic innervation (fat cells and its blood vessels); also contain many mitochondria.In these mitochondria, there is a second proton conductance that does not generate ATP. depends on a 32-kDa uncoupling protein (UCPl); involved in heat production.